Phocomelia is caused by which drug:
1. Methotrexate
2. Thalidomide
3. Phenytoin
4. Carbimazole

Correct answer: 2. Thalidomide

Explanation: Ans. B. ThalidomidePhocomelia is teratogenic effect which was caused by thalidomide given to pregnant females for morning sickness, in this there was seal like limbs. This drug was banned due to this effect. Current status of the drug is that it is used in Lepra reaction and multiple myeloma.